Adenine in DNA binds with -
1. Thymine
2. Guanine
3. Cytosine
4. Uracil

Correct answer: 1. Thymine

Explanation: Ans. is 'a' i.e., Thymine o Adenine is always paired with thymine by formation of two hydrogen bonds. Guanine is always paired with cytosine by formation of three hydrogen bonds.